Most common infection in a child Nephrotic Syndrome
1. Spontaneous bacterial peritonitis
2. Pneumonia
3. UTI
4. Cellulitis

Correct answer: 1. Spontaneous bacterial peritonitis

Explanation: Most common infection in children nephrotic syndrome is spontaneous bacterial peritonitis . Reference: GHAI Essential pediatrics, 8th edition